Carbohydrate tumor marker for breast cancer:
1. CA 15-3
2. CA 125
3. CA 34
4. CA 19-9

Correct answer: 1. CA 15-3

Explanation: Carbohydrate-rich tumor markers are specific antigens found either on the surface of tumor cells or may also be secreted as products by the tumor cells. CA: carbohydrate antigen/cancer antigen. Specific Proteins Immunoglobulins Multiple myeloma and other gammopathies Prostate-specific antigen and prostate-specific membrane antigen Prostate cancer Mucins and Other Glycoproteins CA-125 Ovarian cancer CA-19-9 Colon cancer, pancreatic cancer CA-15-3 Breast cancer CA 125: tumor marker of primary ovarian cancer of surface epithelial subtype.